All are true about conversion disorder except:
1. Presence of secondary gain
2. Onset in late age
3. Patient does not consciously produce symptom
4. Relation with stress

Correct answer: 2. Onset in late age

Explanation: The onset of conversion disorder is usually seen in late childhood to early adulthood and is rare after 35 years of age. Conversion disorder(functional neurological symptom disorder) 1. Sudden, dramatic loss of sensory or motor function (e.g., blindness, paralysis), often associated with a stressful life event. 2. Patients appear relatively unworried ("la belle indifference")